Patau syndrome is -
1. Trisomy 13
2. Trisomy 18
3. Trisomy 21
4. Trisomy 22

Correct answer: 1. Trisomy 13

Explanation: Ans. is 'a' i.e., Trisomy 13 Name of syndromeTrisomyEdward18Patau13Cat eye22Down's21